Which one of the following micro-organism uses antigenic variation as a major means of variation as an evading host defences?
1. Streptococcus pneumoniae
2. Borrelia recurrentis
3. Mycobacterium tuberculosis
4. Listeria monocytogenes

Correct answer: 2. Borrelia recurrentis